Interleukins and growth factors are
1. Neurotransmitters
2. Metalloproteinases
3. Phosphoproteinases
4. Cytokines

Correct answer: 4. Cytokines

Explanation: Cytokines are potent, low-molecular-weight protein cell regulators produced transiently and locally by numerous cell types.Cytokines usually act as signalling molecules by binding to their own glycoprotein receptors on cell membranes.Proinflammatory cytokines are commonly seen in infectious diseases, and they include IL-1, IL-6, TNF-a, and the IFNs. The anti-inflammatory cytokines include TGF-b, IL-10, IL-11, and IFN-b. These may be required to dampen or downregulate an overactive inflammatory response.Cytokines that have a key role in growth and differentiation include the colony-stimulating factors (CSFs) and stem cell factorJawetz 27e pg: 144